Polyopia/diplopia is seen in which type of cataract-
1. Nuclear
2. Cortical
3. Posterior subcapsular
4. Anterior polar

Correct answer: 2. Cortical

Explanation: In cortical cataract: Uniocular polyopia (i.e., doubling or trebling of objects) occurs due to irregular refraction by the lens owing to variable refractive index as a result of cataractous process.